When a drug is evaluated for its usefulness in controlled conditions, it is termed as a trial signifying -
1. Efficacy
2. Effectiveness
3. Efficiency
4. Effect modification

Correct answer: 1. Efficacy